Suicidal tendencies are seen in:
1. Substance abuse
2. Post-traumatic stress disorder (PTSD)
3. Schizophrenia
4. All of the above

Correct answer: 4. All of the above

Explanation: Depression, substance use disorders, schizophrenia, PTSD are all associated with increased suicide risk